Cruel behavior towards wife by husband, family members or his relatives comes under which IPC section:
1. 498 A
2. 304
3. 304 A
4. 304 B

Correct answer: 1. 498 A

Explanation: Ans. (a) 498 ARef.: The Essentials ofFSM by K.S. Narayan Reddy 31st ed. / 272-73* Cruel behavior towards wife by husband or his relatives punished by IPC 498 A.* IPC section 498 A states that whosoever being husband or relative subject women to cruelty shall be punished with imprisonment of upto 3 years with or without fine.